Karyopyknotic index is a method for ?
1. Ovarian carcinoma
2. Hormonal evaluation
3. Dysplasia measurement
4. Measurement of cells in active replication

Correct answer: 2. Hormonal evaluation

Explanation: It is the percentage of tooth royal cells having karyopyknotic nucleus exfoliate a from the vagina... Which gives an idea about the hormonal status of the patient. Karyopyknosisis the irreversible condensation of the chromatin in the nucleus of a cell undergoing apoptosis or necrosis.